A newborn has fused eyes and single nasal chamber & undeveloped callosum. What is the most probable diagnosis?
1. Holoprosencephaly
2. Schizencephaly
3. Plagiocephaly
4. Brachycephaly

Correct answer: 1. Holoprosencephaly

Explanation: Holoprosencephaly: brain doesn't properly divide into right and left hemispheres. Associated with trisomy 13 (MC), trisomy 18, CHARGE syndrome Schizencephaly- characterized by abnormal slits or clefts in the cerebral hemispheres of the brain. Plagiocephaly- characterized by an asymmetrical distortion (flattening of one side) of the skull. Brachycephaly- result of premature synostosis of both coronal sutures.